Consider the following in a new born: 1. Heart rate of 110 2. Slow and irregular respiratory effort 3. Flaccid muscle tone 4. No reflex irritability 5. Blue colour What is the Apgar score in this case ?
1. 1
2. 3
3. 5
4. 7

Correct answer: 2. 3